Under the Antyodaya Anna Yojana, wheat is given at a rate of:
1. Rs. 2/Kg
2. Rs. 3/Kg
3. Rs. 5/Kg
4. Rs. 6/Kg

Correct answer: 1. Rs. 2/Kg

Explanation: The scheme was launched in 2001 December. Under the scheme, BPL families are given food grains at highly subsidized rates of wheat at Rs. 2/Kg and rice at Rs. 3/Kg. Ref: Health policies and programmes in India, D.K. Taneja 11th edition page: 304